Which of the following is found in patients with cerebral salt wasting syndrome?
1. Elevated serum cortisol
2. Hypernatremia
3. Hypovolemia
4. Low urine sodium excretion

Correct answer: 3. Hypovolemia

Explanation: In Subarachnoid Hemorrhage-BNP | -Natriuresis-Salt loss, | H2O-Hypovolemic Hyponatremic. The degree to which hyponatremia might occur primarily as a result of primary natriuresis is controversial. Cerebral salt wastingsyndrome (CSWS) was proposed by Peters and associates in 1950 as an explanation for the natriuresis and hyponatremiathat sometimes accompanies intracranial disease, particularly subarachnoid hemorrhage in which up to one-third of patients oftendevelop hyponatremia. A recent study of 100 consecutive adult patients with acute nontraumatic aneurysmal subarachnoid hemorrhage found that thecause of the hyponatremia was attributable to SIAD in 71.4% and acute glucocorticoid deficiency in 8.2%, with the remaining cases caused by incorrect intravenous fluid administration or hypovolemia. Most significantly, no cases were found that methistorically accepted criteria for a diagnosis of CSWS. This suggests that CSWS is an exceedingly rare cause of the hyponatremiawith intracranial disorders.